Most common cause of inherited peripheral neuropathy is ?
1. Chacot - Marie - Tooth disease
2. Hereditary neuropathy with pressure palsy
3. Familial amyloid polyneuropathy
4. Hereditary sensory neuropathy

Correct answer: 1. Chacot - Marie - Tooth disease

Explanation: Ans. is 'a' i.e., Chacot - Marie - Tooth diseaseCharcot-Marie-Tooth (CMT) disease :?This is the most common of the inherited peripheral neuropathies, affecting up to 1 in 2500 people.This is a nerve conduction disease.Affected individuals are heterozygous for duplication of a small region of chromosome 17 (17p12).It is an autosomal dominant disorder